The following are related to anencephaly except:
1. It is commonly associated with prematurity
2. Often associated with oligohydramnios
3. Increased association with female baby
4. Obstructed labour may occur

Correct answer: 2. Often associated with oligohydramnios

Explanation: Anencephaly is associated with polyhydramnios and not oligohydramnios. Rest all options are correct.